Skin over the angle of mandible and parotid area is supplied by -
1. Greater auricular nerve
2. Posterior auricular nerve
3. Auriculotemporal nerve
4. Facial nerve

Correct answer: 1. Greater auricular nerve